Following are complication of diphtheria except:
1. Polyneuritis
2. Myocarditis
3. Palatal paralysis
4. Vertigo

Correct answer: 4. Vertigo

Explanation: Vertigo is not seen in diphtheria. The neurological complications like polyneuritis and palatal paralysis are totally reversible. Myocarditis is the most common cause of death in diphtheria due to circulatory failure.